Glyeaemic control in diabetes is best assessed by:
1. HbAIC
2. Urinary glucose
3. Fasting glucose
4. Post prandial glucose

Correct answer: 1. HbAIC

Explanation: Answer is A (HbAl C): Measurment of Glycated Hemoglobin (HbAlC) is the standard method of assessing long term glycaemic control. HbA IC should be measured in all individuals with Diabetes Mellitus as part of their comprehensive diabetic care.